The parvocellular pathway from lateral geniculate body to visual cortex carries signals for detection of
1. Colour contrast
2. Luminance contrast
3. Temporal frequency
4. Saccadic eye movements

Correct answer: 1. Colour contrast

Explanation: Parvocellular pathway carries signal for detection of colour vision, texture, shape, fine detail. Ref: Ganong 25th ed/page 193